Anthracosis is due to inhalation of
1. Coal dust
2. Asbestos dust
3. Silica dust
4. Beryllium dust

Correct answer: 1. Coal dust